Which is/are not transport protein?
1. Transferrin
2. Collagen
3. Ceruloplasmin
4. Hemoglobin

Correct answer: 2. Collagen

Explanation: Ans.is'b'i.e., Collagen [Ref is a structural proteinAlbumin has circulating transport proteins such as steroids, thyroxine, triiodothyronine, fat soluble hormones, fatty acids to liver, unconjugated bilirubin, many drugs, Calcium, magnesium, cations & anions.Ceruloplasmin has CopperHemoglobin - Oxygen from lung to tisuuesTransferrin - iron ions in the ferric form (Fe3+).